Investigation of choice for solitary pulmonary nodule -
1. USG
2. CT Scan
3. MRI
4. X-ray

Correct answer: 2. CT Scan

Explanation: Ans. is 'b' i.e., CT ScanInvestigations of choice in respiratory systemDiseaseInvestigationo Intersitiai lung diseaseo BronchiectasisHRCTHRCT (1st choice)Bronchography (2nd choice)o Pulmonary embolismCT with i.v. Contrast (1st choice)V/Q scan (2nd choice)o Solitary' pulmonary noduleo Calcificationo Pulmonary malignancyo Superior sulcus or pancoast tumorCT scanCT scanCT scan (except in superior sulcus or pancoast tumor)MRI